Glycophorin is present in:
1. Enterocyte
2. Hepatocyte
3. RBC
4. Lymphocyte

Correct answer: 3. RBC

Explanation: C i.e. RBC